A veterinary doctor had pyrexia of unknown origin. His blood culture in special laboratory media was positive for gram negative short bacilli which was oxidase positive. Which one of the following is the likely organism grown in culture?
1. Pasturella spp.
2. Francisella spp.
3. Bartonella spp.
4. Brucella spp.

Correct answer: 4. Brucella spp.